Which of the following is true about Rotavirus ?
1. Commonly affects children
2. Double Stranded DNA
3. Can be grown easily on cell culture
4. Egg shell appearance under electron microscope

Correct answer: 1. Commonly affects children

Explanation: Ans. is 'a' i.e., Commonly affects children . Rotavirus are now recognized as the most common cause of diarrhea! disease in infants and children. . Rotavirus has double stranded RNA . Under electron microscope, Rotavirus looks like a wheel.